Wallenberg's syndome does not involve -
1. IX
2. X
3. XI
4. XII

Correct answer: 4. XII